The most frequently reported malfunctions in medical gas pipeline system are:-
1. Inadequate pressure
2. Cross connection
3. Excessive pressure
4. Alarm dysfunction

Correct answer: 1. Inadequate pressure

Explanation: Oxygen, nitrous oxide, air and medical vacuum are commonly supplied throughout the pipeline system which is made of special high quality phosphorus-containing, de-oxidized, non-arsenical copper alloy, which prevents degradation of the gases it contains as well as has bacterio-static properties. The fittings used must be copper- to-copper only, made with a special silver solder brazing alloy. This reduces pipe corrosion. The size of the pipes differs according to demand that they carry. Pipes with a 42 mm diameter are usually used for leaving the manifold. The smaller 15 mm concealed pipelines ultimately end as gas outlets either flush fitting on walls or as overhead boom or as suspended hoses that are gang mounted.